HCV is associated with:
1. Autoimmune cirrhosis
2. LKM antibody
3. Antimitochondrial antibody
4. None

Correct answer: 2. LKM antibody

Explanation: Cross-reactivity between viral antigens (HCV NS3 and NS5A) and host autoantigens (cytochrome P450, 2D6) has been invoked to explain the association between hepatitis C and a subset of patients with autoimmune hepatitis and antibodies to Liver-Kidney Microsomal (LKM) antigen.